Critical path is shown by -
1. Time
2. Money
3. Man power
4. Proper sequence

Correct answer: 1. Time

Explanation: Ans. (a) TimeRef: K. Park 23rded. /872* Network analysis is the graphic plan of all events and activities to be completed in order to reach an end objective. 2 types of network analysis technique:# PERT (Programme Evaluation and Review Technique): an arrow diagram representing the logical sequence in which events must take place. It aids in planning scheduling and monitoring the project.# CPM (Critical Path Method): the longest path of the network. If any activity in the critical path is delayed, entire project will be delayed.